\r\n\r\n\r\n \r\nWhat should be the hardness level of drinking water?\r\n\r\n
1. Soft water
2. Moderately hard water
3. Hard water
4. Very hard water

Correct answer: 2. Moderately hard water

Explanation: Drinking water should be moderately soft. Softening of water is recommended when hardness exceeds 3 meq/ L. Ref: Park 21st edition page: 672.